Skin loss extending to fascia, muscle and Bone, belongs to which grade of pressure sore?
1. Grade 2
2. Grade 3
3. Grade 4
4. Grade 5

Correct answer: 3. Grade 4

Explanation: Grading of Pressure Sores :
Grade 1 - Non blanchable erythema.
Grade 2 - Prtial thickness skin loss extending to epidermis and dermia.
Grade 3 - Full thickness skin loss extending to subcutaneous tissue.
Grade 4 : Skin loss extends to fascia + muscles + Bone or tendon or Joint.